First epiphysis to appear around the elbow region is:
1. Head of radius
2. Capitulum
3. Trochlea
4. Medial condyle

Correct answer: 2. Capitulum

Explanation: Ans. B: Capitulum The most commonly used mnemonic for the sequence of ossification around the elbow is CRITOE or CRITOL (mean ossification times) C- Capitulum (2 years) R- Radial head (4 years) I- Internal (medial) epicondyle (6 years) T- Trochlea (8 years) 0- Olecranon (9 years) E- External or Lateral epicondyle (12 years)